In which case lymph nodes are resected prophylactically -
1. Embryonal Rhabdomyosarcoma
2. Liposarcoma
3. Fibrosarcoma
4. Neurofibroma

Correct answer: 1. Embryonal Rhabdomyosarcoma

Explanation: Ans is 'a' ie Embryonal Rhabdomyosarcoma Soft tissue sarcomas metastasises through blood to lung (MC) & liver but lymphatic metastasis is very rare. Still some sarcomas metastasize to lymph nodes. Prophylactic resection is required in them along with resection of the tumor. "Rhabdomyosarcoma a tumor of striated muscle, is a highly malignant soft tissue sarcoma of infancy and childhood It is the MC soft tissue sarcoma in children. Rhabdomyosarcoma invades local structures early and metastasis occur by lymphatics and hematogenous spread." Also know The most common histologic types of soft tissue sarcoma in adults (excluding Kaposi's sarcoma) are malignant fibrous histiocytoma (MFH, 28%), leiomyosarcoma (12%), liposarcoma (15%), synovial sarcoma (10%), and malignant peripheral nerve sheath tumors (6%). Most common soft tissue sarcoma in children is -- Rhabdomyosarcoma Most common site for soft tissue sarcoma is --- extremity (50 to 60%) > trunk, retroperitoneum, and head and neck.